In a patient with multiple injuries, first thing to be done is:
1. Patency of airway
2. Maintenance of B.P
3. Immobilize cervical spine
4. Lateral position with mouth gag

Correct answer: 1. Patency of airway

Explanation: A i.e. Patency of airway